In calculating crude birth rate which of the following is used as denominator:
1. Women in 15-49 years age group
2. All person in 15-49 years age group
3. Mid year population
4. All live birth

Correct answer: 3. Mid year population

Explanation: No. of live birth during year Crude birth rate = x 1000 Mid -- year population * Simplest measure of fertility. Curde birth rate is 24.1 * India in year 2004 Curde death rate is 7.5 Mid year population: Refer to the population estimated as on the 1st July of an year. Census: The census usually conducted at end of first quarter of first year in ach decade. Reason being most people are usually resident in their own homes in this period. Mid year population -- 1 July Census - End of March Month